Which of the following is not a starting criteria for sulfonylurea therapy ?
1. Total pancreatectomy
2. NIDDM
3. Diabetes after 60 years
4. None

Correct answer: 1. Total pancreatectomy